Krukenberg’s spindles are seen in?
1. Pigmentary glaucoma
2. Sympathetic opthalmitis
3. Chalazion
4. Retinitis pigmentosa

Correct answer: 1. Pigmentary glaucoma

Explanation: “Krukenberg’s spindles are seen in pigmentary glaucoma”
PIGMENTARY GLAUCOMA: Type of secondary glaucoma which develops due to blockage of trabecular meshwork by pigment particles
Clinical picture is similar to that produced by POAG in a young myopic male Deposition of pigement occurs on anterior structures of the eye like the trabecular meshwork,
iris, posterior surface of the cornea (known as krukenberg’s spindles) , ciliary zonules, the lens.
Transillumination of iris shows slit like defect which is pathognomic Also Know: Krukenberg’s operation:
converts a forearm amputation stump into a pincer Kruken berg’s tumour:
A Krukenberg tumor refers to a malignancy in the ovary that metastasized from a primary site,
classically the gastrointestinal tract, although it can arise in other tissues such as the breast. Gastric adenocarcinoma,
especially at the pylorus, is the most common source. Krukenberg tumors are often (over 80%) found in both ovaries, consistent with its metastatic nature